Which of the following drugs act by inhibiting granulocyte migration?
1. Colchicine
2. Montelukast
3. Cromoglycate
4. Allopurinol

Correct answer: 1. Colchicine

Explanation: Ans (A) Colchicine(Ref: Goodman and Gilman 13th/702-703)Colchicine is more effective and faster acting than NSAIDs but is used rarely due to its high toxicity.It acts by inhibiting granulocyte migration into the in- flamed joint.It causes metaphase arrest (other drugs causing meta- phase arrest are vinca alkaloids, ixabepilone and taxanes).Most common and dose limiting toxicity is diarrhea.It can also cause kidney damage, myopathy and bone marrow depression.